The rationale for sucralfate therapy in peptic ulcers does not include :
1. It has an acid neutralizing action.
2. It inhibits pepsin mediated protein hydrolysis.
3. It stimulates the production of epidermal growth factor.
4. It stimulates prostaglandin synthesis.

Correct answer: 1. It has an acid neutralizing action.

Explanation: A Sucralfate binds to the base of the ulcer crater and inhibits the pepsin mediated protein hydrolysis. It by itself has no acid neutra-lizing action. Other mechanisms proposed for its effect are stimulation of prostaglandin synthesis and stimulation of local epider-mal growth factor.